A patient with undulating fever presents with features of encephalitis. He is treated successfully with doxycycline and rifampicin. What shall be the most probable diagnosis:
1. Brucellosis
2. Bordetella pertussis
3. Francessila tularensis
4. Mycoplasma

Correct answer: 1. Brucellosis

Explanation: Brucellosis/Malta / Mediterranean / Undulant fever Caused by B. Melitensis Development of meningo-encephalitis Rx DOC-Doxycycline WHO regimen recommends doxycycline and Rifampicin. Bordetella Pertussis-Causes whooping cough / 100 days fever Francisella Tularensis After contact with rabbit bites causes Tularemia eschar positive enlarged LN. Mycoplasma pneumonia-Causes atypical Pneumonia Choice B leads to pertussis Choice C leads to ulcero-glandular fever and presence of eschar Choice D present as atypical pneumonia Hence the answer by exclusion is brucellosis